A preterm baby is born with synchronised upper chest movement, minimal nasal flare, expiratory grunting heard by the stethoscope, but has no chest or xiphoid retractions. The Silverman score is:
1. 1
2. 2
3. 3
4. 4

Correct answer: 2. 2

Explanation: The Silverman Anderson retraction score of respiratory distress syndrome (RDS): Upper chest Lower chest Xiphoid retraction Nares dilatation Expiratory grunt Grade 0 Synchronised No retraction None None None Grade 1 Lag on inspiration Just visible Just visible Minimal By stethoscope Grade 2 See-saw Marked Marked Marked Without stethoscope Mild RDS: Score 1-3 Moderate RDS: 4-7 Severe RDS: 7-10 Ref: Advances in Pediatrics by Dutta By Jaypee Brothers, Medical Publishers, 2007, Page 89.